Colorado stain is another name for
1. Fluorosis
2. Arrested Caries
3. Fluoride Bomb
4. None

Correct answer: 1. Fluorosis